Which structure lies midway between the ASIS & pubic symphysis :
1. Femoral artery
2. Deep inguinal ring
3. Superior epigastric artery
4. Inguinal ligament

Correct answer: 1. Femoral artery

Explanation: A. i.e. Femoral artery Femoral artery traverses the femoral triangle from its base (which is formed by inguinal ligament - attached between ASIS and Pubic tubercle) at midinguinal pointQDeep inguinal ring lies 1/2 inch above midinguinal pointQ; Superficial inguinal ring lies I/2 inch bellow midinguinal point; and Saphenous opening lies 4 cm below & lateral to the pubic tubercle.